Inferior wall MI -
1. Post interventricular artery
2. Ant interventricular artey
3. Atrial branch
4. Nodal branch

Correct answer: 1. Post interventricular artery